A 10-year-old child had fever for 5 days, along with which he developed multiple fluid filled lesions on the lips as shown below. What is the probable underlying etiology for the skin lesions?
1. Cytomegalovirus
2. Herpes simplex virus
3. HIV
4. Syphilis

Correct answer: 2. Herpes simplex virus

Explanation: b Herpes simplex virusMultiple fluid filled lesions on the lips, as shown, in a child who had fever, suggests Herpes labialis caused by Herpes simplex virus (HSV)